Prostaglandin is obtained from:
1. Steric acid
2. Arachidonic acid
3. Linoleic acid
4. Linolenic acid

Correct answer: 2. Arachidonic acid

Explanation: Ans. B. Arachidonic acidPhospholipid are acted upon by phospholipase A2 which converts it into Arachidonic acid. Arachidonic acid if acted upon by COX enzyme then it forms Prostaglandin and if LOX enzyme then to leukotriene.